Albinism is due to deficiency of
1. Tyrosinase
2. Homogentisate oxidase
3. Fumaryl acetoacetate hydrolase
4. Chylomicrons

Correct answer: 1. Tyrosinase

Explanation: Tyrosinase is completely absent, leading to defective synthesis of melaninRef: DM Vasudevan - Textbook of Biochemistry, 7th edition, page no: 238, fig 18.7